All are features of epidemic dropsy, except -
1. Glaucoma
2. Diarrhoea
3. Convulsion
4. Heart failure

Correct answer: 3. Convulsion

Explanation: The symptoms of epidemic dropsy are sudden non inflammatory bilateral swelling of legs,often associated with diarrhoea,dyspnoea cardiac failure and death.sometimes patients may develop glaucomaREF.PARK'S TEXTBOOK OF PREVENTIVE AND SOCIAL MEDICINE.Editon-21.Page no.-608.